Protective factor for ovarian cancer:
1. Nulliparity
2. Bilateral Tubectomy
3. Dysgenetic gonads
4. Woker of asbestos industry

Correct answer: 2. Bilateral Tubectomy

Explanation: Ans is b, i.e. Bilateral tubectomyRef: William gynae 3/ed, p736"Tubal ligation and Hysterectomy are each associated with a substantial reduction in risk. Theoretically, any gynecological procedure that precludes intants from reaching the ovaries via as caesarian from the lower genital tract might plausibly exert a similar protective effect." - Ref: Williams Gynae 3rd/ed, p736